A woman with infertility receives an ovary transplant from her sister who is an identical twin. What type of graft it is ?
1. Xenograft
2. Autograft
3. Allograft
4. Isograft

Correct answer: 4. Isograft

Explanation: Graft

A tissue graft is a medical procedure in which tissue from a donor is used to replace missing or damaged tissue on a patient ( recipient).

Terminology of grafts :